. Red cones in fovea are sensitive to which wavelength
1. 460nm
2. 480nm
3. 520nm
4. 560nm

Correct answer: 4. 560nm

Explanation: It will be evident that only one of three types of color pigments is present in each of different cones, thus making cones selectively sensitive to different colors: blue, green or red. These color pigments are called respectively blue sensitive pigment, green sensitive pigment, and red sensitive pigment. The absorption characteristic of the pigments in the three types of cones shows peak absorbencies at light wavelength of 445, 535 and 570 nm, respectivelyRef: Guyton & Hall Textbook of medical physiology- a south Indian edition 2014 pg no:747